In a patient with history of previous still birth, optimum time of delivery is :
1. 37 weeks
2. 38 weeks
3. 39 weeks
4. 40 weeks

Correct answer: 3. 39 weeks

Explanation: All the females who have previous H/o still birth, the optimum time of delivery is 39 weeks and the mode of delivery is vaginal delivery. Ref: Williams Obs 25e pg 649.